A 23 year old female has abdominal lump that is movable and painless. On exploratory laparotomy, a cystic lump is found arising from mesentery which has no lymphatic supply but has independent blood supply. What is the probable diagnosis?
1. Chylomyphatic mesenteric cyst
2. Enterogenous mesenteric cyst
3. Ectopic pregnancy
4. Pelvic abscess

Correct answer: 1. Chylomyphatic mesenteric cyst

Explanation: Mesenteric Cyst More common in females Usually seen in 2nd decade. CHYLOLYMPHATIC MESENTERIC CYST ENTEROGENOUS MESENTERIC CYST Congenitally misplaced lymphatics in ileum with Afferent lymphatics only. No efferent lymphatics | The chyle will collect | Progressive increase in size of cyst independent blood supply to cyst Treatment Enucleation Duplication cysts (walled off diverticula) Origin is from diverticula / duplication SI lined by columnar epithelium, which has goblet cells that produce mucin. Collected mucin leads to cyst | Enterogenous cysts Content is mucinous(shared wall & shared vascular supply) Treatment Resection + anastomosis